You see four postmenopausal patients in the clinic. Each patient has one of the conditions listed, and each patient wishes to begin hormone replacement therapy today. Which patient would you start on therapy at the time of this visit?
1. Mild essential hypertension + tension headache
2. Liver disease with abnormal liver function tests
3. Treated stage III endometrial cancer
4. Undiagnosed genital tract bleeding

Correct answer: 1. Mild essential hypertension + tension headache

Explanation: Absolute contraindications to postmenopausal hormone replacement therapy are estrogen-dependent tumors (breast or uterus) active thromboembolic disease undiagnosed genital tract bleeding active severe liver disease malignant melanoma. Past or current history of hypertension, diabetes, or biliary stones does not automatically disqualify a patient for hormone replacement therapy.